End product of purine metabolism is:
1. Creatinine
2. Uric acid
3. Xanthine
4. Phosphates

Correct answer: 2. Uric acid

Explanation: Ans. B. Uric acidUric acid is the end product of purine metabolism. "GOUT" is a metabolic disease associated with over production of uric acid.